The highest incidence of ectopic pregnancy amongst contraceptive users is observed with :
1. Combined contraceptive pills
2. Cu-T intrauterine contraceptive device
3. Progestasert intrauterine device
4. Lippes loop intrauterine device

Correct answer: 3. Progestasert intrauterine device

Explanation: Progestasert intrauterine device